Glutamine synthetase is a -
1. Isomerase
2. Ligase
3. Lyase
4. Transferase

Correct answer: 2. Ligase

Explanation: Ans. is 4b' i.e., Ligase /Ref Essential of biochemsitry p. 186]o All synthases are ligases.o All digestive enzymes are hydrolases.o Lyases are:DecarboxylasesAldolasesHydratasesEnolaseFumaraseArginosucinaseEnzyme classImportant enzymesOxidoreductaseOxidases, Dehydrogenases, Hydroperoxidases, (catalase, peroxidase), oxygenases.TransferaseAmino transferase or transaminase, e.g., SGOT (AST) and SGPT (ALT), kinases (HexokinaseQ glucokinase, pyruvate kinase etc), Transketolases, transaldolases, transcarboxylases.HydrolasesAll digestive enzymes (Pepsin, trypsin, lipases, esterases), lysosomal enzymes, urease, and phosphataseLyasesDecarboxylasesQ, aldolases, hydratases, enolase, fumaraseQ, ArginosuccinaseIsomerasesRacemases, epimerases. cis- trans- isomerases, mutasesLigasesSynthatasesQ, Carboxylases, DMA ligase